Which is not seen in retinitis pigmentosa:
1. Pale waxy optic disc
2. Attenuated vessels
3. Retinal haemorrhages
4. Bone corpuscles

Correct answer: 3. Retinal haemorrhages

Explanation: Ans. Retinal haemorrhages